Bronze baby syndrome is due to –
1. Phototherapy
2. Wilson disease
3. Chloramphenicol toxicity
4. Hemochromatosis

Correct answer: 1. Phototherapy

Explanation: Bronze baby syndrome -
It refers to dark grayish brown discoloration of the skin in infants undergoing phototherapy. Almost all infants observed with this syndrome have had a mixed type of hyperbilirubinemia with significant elevation of direct reacting bilirubin and often with other evidence of obstructive liver disease.
Other complications of phototherapy

Loose stool                                                                                     o Erythematous macular rash
Purpurich rash associated with transient porphyrinemia. o Retinal damage.

Increase in environment and body temperature